A study in UK of 5174 births at home and 11156 births in hospitals showed perinatal mortality rates of 5.4/1000 in home births and 27.8/1000 in the hospital births. This observed association between perinatal mortality and hospital births is called as
1. Spurious association
2. Indirect association
3. Inappropriate study
4. Wrong trials

Correct answer: 1. Spurious association

Explanation: In the given question, perinatal mortality rate is more in hospital births than in home births, which is practically unreal; hence it is Spurious association. Mostly complicated cases with high risk of mortality reach hospitals. Hence higher morltaltiy is observed. Spurious association - Observed association between disease and suspected factor may not be real.